In case of custodial deaths, the following are the autopsy guidelines issued by National Human Rights Commission except:-
1. A magisterial inquiry has to be conducted, and to report within 24 hours of occurrence
2. Clothing should be carefully removed, preserved and sealed by the police
3. Video recording of postmortem examination is to be done
4. All reports, viz. postmortem, videograph and magisterial inquiry reports must be sent to the Commission within 2 months of the incident

Correct answer: 2. Clothing should be carefully removed, preserved and sealed by the police

Explanation: Guidelines issued by the National Human Rights Commission (NHRC) in cases of custodial death/rapes and encounter deaths: Reporting: In every case of custodial death/rape, a magisterial inquiry has to be conducted, and to report within 24 hours of occurrence. Clothing should not be removed by the police or any other person as it must be examined, preserved and sealed by the doctor conducting the autopsy. It should be sent for further examination at the FSL To prevent tampering and to supplement the postmortem report, video recording of postmortem examination is to be done. In case of alleged firearms death, the body should be subjected to radiological examination (X-ray/CT scan) prior to autopsy. After the postmortem examination, the viscera may be sent for examination All reports, viz. postmortem, videograph and magisterial inquiry reports must be sent to the Commission within 2 months of the incident.